Sternal angle corresponds to:
1. 1st rib
2. 2nd rib
3. 3rd rib
4. 4th rib

Correct answer: 2. 2nd rib

Explanation: Sternal angleIt varies around 162 degrees in malesIt marks the approximate level of the 2nd pair of costal cartilages, which attach to the second ribs, and the level of the intervertebral disc between T4 and T5.The angle also marks a number of other features:-- Boundary between the superior and inferior portion of the mediastinumPassage of the thoracic duct from right to left behind esophagus- Aortic Arch- Tracheal Bifurcation- End of the azygos system into SVC- Ligamentum arteriosum- Loop of left recurrent laryngeal nerve around aortic arch- Aortic arch starts and ends